All are required to diagnose major depression except ?
1. Depressed mood
2. Isomnia
3. Nihlistic ideas
4. Decreased concentration

Correct answer: 3. Nihlistic ideas

Explanation: Ans. is 'c' i.e., Nihlistic ideas Diagnostic criteria for major depression 5 or more of following symptoms should be present most of the day for at least 2 weeks: ? Depressed mood Loss of interest or pleasure in all activities. Decrease/increase appetite or loss/gain of weight. Insomnia or hypersomnia (Increased or decreased sleep). Psychomotor retardation or agitation (decreased or increased psychomotor activity). Fatigue or loss of energy (weakness or lethargy). Feelings of worthlessness or excessive guilt. Diminished concentration Recurrent thoughts of death or recurrent suicidal ideation or suicidal attempt. At least one of symptoms should be either :? Depressed mood or 2) Loss of interest or pleasure --) These two (1 & 2) are essential criteria. Therefore 1 essential criterian and 4 other criteria (total 5) should be persent.